Which among the following is least hygienic pontic:
1. Saddle pontic.
2. Modified ridge lap pontic.
3. Spheroidal pontic.
4. Fish-belly pontic.

Correct answer: 1. Saddle pontic.

Explanation: Saddle pontic 
• The concave gingival surface overlaps the ridge buccally and lingually.
• The gingival surface will not have continuous contact with the ridge instead only the buccal and lingual ends of gingival surface will contact the tissue.
• It is the least hygienic pontic